Hyaluronic acid is present in
1. Lens
2. Vitreous humour
3. Blood vessels
4. cornea

Correct answer: 2. Vitreous humour

Explanation: Vitreous is composed of water, collagen and hyaluronic acid. Vitreous Humour. Vitreous humor is the fluid-like gel, composed of approximately 98-99% water with trace amounts of hyaluronic acid, glucose, anions, cations, ions, and collagen, located in the posterior chambers of the eyes Reference: khurana 6th edition pg 567